Case fatality rate is
1. Severity of disease
2. Communicability of disease
3. Burden of disease
4. None

Correct answer: 1. Severity of disease

Explanation: ref: Park's 23rd edition pg 58 Case fatality rate is simply the ratio of deaths to cases. typically used for acute diseases like food poisoning, cholera, measles.